Which of the following is a selective Beta 2 antagonist?
1. Esmolol
2. Betaxolol
3. Butoxamine
4. Celiprolol

Correct answer: 3. Butoxamine

Explanation: Esmolol, Betaxolol, Celiprolol are cardioselective beta 1 blockers. Butoxamine is a selective beta 2 blocker. From essential of medical pharmacology K D Tripathi 7th edition page no 144